Which of the following finding is not seen on HRCT in usual interstitial pneumonia (UIP)?
1. Honeycombing and loss of lung architecture
2. Bibasilar subpleural reticular opacities
3. Traction bronchiectasis
4. Ground glass opacities

Correct answer: 4. Ground glass opacities

Explanation: Interstitial Lung Disease ILD(HRCT) Usual Interstitial Pneumonia (UIP) Non-Specific IP (NSIP) Reticular opacities Subpleural Honeycombing Traction bronchiectasis Ground Glass Opacities Subpleural Sparing